Whey : Casein ratio in breast milk is
1. 3:07
2. 8:03
3. 7:03
4. 3:08

Correct answer: 3. 7:03